Axonotmesis includes discontinuity in:
1. Perineurium
2. Epineuri um
3. Endoneurium
4. Axon

Correct answer: 4. Axon

Explanation: D i.e. Axon